1 cells of duodenum secrete
1. Secretin
2. Gastrin
3. CCK
4. Motilin

Correct answer: 3. CCK

Explanation: Enteroendocrine cells (EEC) secrete key gastrointestinal (GI) hormones such as gastric-inhibitory peptide (GIP), cholecystokinin (CCK) and ghrelin that are involved in nutrient sensing pathways and are often implicated in GI pathology. EEC is also known as I cells. Ref: www.pshysoc.org